Which of the following is a fungus -
1. Klebsiella
2. Clostridia
3. Pneumocystis jerovecii
4. Listeria

Correct answer: 3. Pneumocystis jerovecii

Explanation: Pneumocystis jerovecii is considered to be fungus based on following points:

It takes fungal stains like Gomori’s methanamine silver stain
It possesses chitin at all stages of development (component of fungal cell wall)
Based on molecular study of 5S –rRNA.